Thomas test helps to detect -
1. Adduction deformity of the hip
2. Integrity of the Abductor Mechanism
3. Fixed flexion deformity of the Hip
4. Apparent shortening at the hip Joint

Correct answer: 3. Fixed flexion deformity of the Hip

Explanation: Ans. is 'c' i.e., Fixed flexion deformity of the Hip Tests for Hip JointTESTINDICATIONTHOMASFixed flexion DeformityTrendelenburg TestFailure of the Abductor MechanismBryants TriangleSupratrochanteric ShorteningSquaring of pelvisAdduction/Abduction DeformityTelescoping TestPositive in DDH, transcervical neck femur fractureNelatons LineSupratrochanteric ShorteningChienes testSupratrochanteric ShorteningShoemakers LineSupratrochanteric Shortening